Amino acid absorption is by-
1. Facilitated transport
2. Passive transport
3. Pinocytosis
4. Active transport

Correct answer: 4. Active transport

Explanation: Free amino acids are absorbed across the intestinal mucosa by sodium-dependent active transport. There are several different amino acid transporters, with specificity for the nature of the amino acid side-chain. Transporters of Amino Acids. For Neutral Amino Acids For Basic Amino acids and Cysteine For Imino Acids and Glycine For Acidic Amino Acids For Beta Amino Acids (Beta Alanine) Meisters Cycle For absorption of Neutral Amino acids from Intestines, Kidney tubules and brain. The main role is played by Glutathione. (GSH) For transport of 1 amino acid and regeneration of GSH 3 ATPs are required.